All are Antidepressants except -
1. Trazodone
2. Amitryptyline
3. Fluoxetine
4. Pimozide

Correct answer: 4. Pimozide

Explanation: Antidepressants 

Typical

a)Tricyclic antidepressants
i) NA + 5HT reuptake inhibitors Imipramine, Trimipramine, Amitriptyline, Clomipramine. Predominantly ii) NA reuptake inhibitors Desipramine, Nortriptyline, Amoxapine, Reboxetine.
b)Selective serotonin reuptake inhibitors:- Fluoxetine, Paroxetine, Sertaline, Citalopram, Scitalopram. 
       B) Atypical :- Trazodone, Mianserine, Mitrazapine, Venalafaxin, Duloxetine, Tianeptine, Amineptine, Bupropion.
       C) MAO inhibitors:- Tranylcypromine, Moclobemide, Clorgyline.